First heart sound is soft in all, except:
1. Short PR interval
2. Ventricular septal defect
3. Mitral regurgitation
4. Calcified valve

Correct answer: 1. Short PR interval

Explanation: Answer is A (Short PR interval) Short PR interval is associated with a Loud S,. SI is produced as a result of closure of AV valves. In short PR interval mitral leaflets are at a greater distance from neutral as decreased interval between atrial contraction and ventricular systole does not allow them to return towards neutral before the ventricular contraction